The biological oxygen demand indicates –
1. Organic matter
2. Bacterial content
3. Anaerobic bacteria
4. Chemicals

Correct answer: 1. Organic matter